Pressure difference of 5mm Hg between the two upper limbs occurs in which congenital heart disease:
1. TOF
2. TGA
3. HOCM
4. Supra -valvular aortic stenosis

Correct answer: 4. Supra -valvular aortic stenosis

Explanation: Answer is D (Supravalvular Aortic stenosis) In supravalvular aortic stenosis the direction of jet of flow tends to be directly directed into the innominate artery. This often results in the direct impact pressure of the central jet being transmitted to right anti, thus making the rit,ht anti pressure hit,ther than the left